The body of a 32 year old age male is brought to you for autopsy. The corpse was found on a railway track and there are talks about suspected suicide. On examination you find joule burns on the fingers and multiple lacerated wounds on the body. The edges of the wounds do not gape and are closely approximated. No positive vital reaction zone is present. Which of the following is the most likely mode of death in this person?
1. Accidental
2. Suicidal
3. Homicidal
4. Natural

Correct answer: 3. Homicidal

Explanation: Here the presence of joule burns are suggestive of electrocution and the wounds seen on the body are definitely postmortem as suggested by the features. It means that the person was dead before placing on the track. Hence, this is a case of homicide. Ref: Textbook of forensic medicine by Narayana Reddy, edition 20, Page 260